Which of the following structure are not normally visualized during the arthroscopy of the knee?
1. Meniscus
2. Cruciate ligaments
3. Collateral ligaments
4. Patella articular surface

Correct answer: 3. Collateral ligaments

Explanation: Ans. is 'c' i.e., Collateral ligaments The following structures are visualized during the knee arthroscopy :- i) Medial and lateral meniscus ii) Anterior and posterior cruciate ligaments iii) Knee articular cartilage iv) Patello - femoral joint v) Loose bodies in joint